Which apolipoprotein is responsible for Alzheimer's disease:-
1. APOE3
2. APOE1
3. APOE4
4. APOE2

Correct answer: 3. APOE4

Explanation: Relative risk of Alzheimer's disease is maximum with Apo E4 Apo E Risk of Alzheimer's E2, E2 0.6 E2, E4 2.6 E3, E4 3.2 E4, E4 14.9